A clinical study involves patients diagnosed with carcinoma whose tumor stage is T4N1M1. The patients' survival rate 5 years from the time of diagnosis is less than 50%, regardless of therapy. Which of the following clinical findings is most likely to be characteristic of this group of patients?
1. Cachexia
2. Cardiac murmur
3. Icterus
4. Loss of sensation

Correct answer: 1. Cachexia

Explanation: Cachexia is a common finding in advanced cancers, and weight loss without dieting in an adult is a "red flag" for malignancy. The exact cause for this is unknown, but increases in circulating factors such as tumor necrosis factor (TNF) may play a role. Cardiac murmurs may occur in the development of nonbacterial thrombotic endocarditis, a feature of a hypercoagulable state that may occur with advanced malignancies. Icterus is most likely to occur when there is obstruction of the biliary tract by a mass (e.g., as in pancreatic cancer), but metastases are unlikely to cause such an obstruction. Neurologic abnormalities may occur in local tumor growth impinging on nerves, but dull constant pain is the most likely abnormality in malignant neoplasms that invade nerves. Metastases to the spleen are uncommon. Tympany is uncommon in cancer because obstruction by a mass tends to be incomplete and to develop over a long time. (Hint: an empty beer keg is tympanitic when percussed.)